Synchysis refers to
1. Collapse of the vitreous
2. Black spots in front of the eyes
3. Liquefaction of the vitreous
4. Detachment of the vitreous

Correct answer: 3. Liquefaction of the vitreous

Explanation: VITREOUS LIQUEFACTION (SYNCHYSIS) Vitreous liquefaction (synchysis) is the most common degenerative change in the vitreous. Causes of liquefaction: 1. Degenerations such as senile, myopic, and that associated with retinitis pigmentosa. 2. Post-inflammatory, particularly following uveitis. 3. Trauma to the vitreous which may be mechanical (blunt as well as perforating). 4. Thermal effects on vitreous following diathermy, photocoagulation and cryocoagulation. 5. Radiation effects may also cause liquefaction. Ref:- A K KHURANA; pg num:-244